Rhinophyma complicates
1. Acne vulgaris
2. Acne rosacea
3. Psoriasis
4. Retinoid

Correct answer: 2. Acne rosacea

Explanation: Acne rosacea and rhinophyma are synonyms: Rhinophyma is a skin disorder that causes the nose to become enlarged and bulbous. The nose may look red, swollen, and distorted. The condition is a subtype of rosacea, an inflammatory skin disease. Other subtypes of rosacea cause redness and small, pus-filled bumps on the face, commonly on the cheeks, chin, and nose Ref: Harrison 20th edition pg 1234